Periconceptional use of the following agent teads to reduced incidence ol neural tube defects :
1. Folic acid
2. Iron
3. Calcium
4. Vitamin A

Correct answer: 1. Folic acid

Explanation: Ans. is a i.e. Folic acid